In a case of sporadic ataxia, what lab investigation is not done:
1. Serum folate
2. Vit E
3. Vit Bl
4. TSH

Correct answer: 1. Serum folate

Explanation: Serum vitamin B12 levels assessment is important for assessment of a case of sporadic ataxia. However, serum folate is not important for ataxia assessment as it is not related.